In argininosuccinase deficiency, what should be supplemented to continue the urea cycle ?
1. Aspartate
2. Arginine
3. Citrullin
4. Argininosuccinate

Correct answer: 2. Arginine

Explanation: Argininosuccinase (argininosuccinate lyase) catalyses the cleavage of arginiosuccinate into arginine and fumarate. o Thus, in argininosuccinase deficiency arginine cannot be produced. Supplementation with arginine base helps replenish this amino acid.